Which of the following is not found commonly in Graves disease?
1. Thyroid-stimulating immunoglobulin (TSI)
2. Antibody against thyroglobulin
3. Antibody against thyroid peroxidase (TPO)
4. Antibody against thyroid stimulating hormone (TSH)

Correct answer: 4. Antibody against thyroid stimulating hormone (TSH)

Explanation: Graves disease is the most common cause of endogenous hyperthyroidism. Most common antibody subtype, known as thyroid-stimulating immunoglobulin (TSI) is observed in approximately 90% of patients with Graves disease resulting in hyperthyroidism. Thyroid-stimulating immunoglobulin (TSI) is directed mainly against TSH receptor. The follicles are lined by tall columnar epithelial cells that are actively resorbing the colloid in the centers of the follicles, resulting in a "scalloped" appearance of the colloid. Other antibodies associated are: Antibodies against thyroglobulin and thryoid peroxidase. Thyroid growth-stimulating immunoglobulins - resulting in proliferation of thyroid follicular epithelium. TSH-binding inhibitor immunoglobulins - prevent TSH from binding to its receptor resulting in hypothyroidism